Important feature in Henoch Schonlein purpura?
1. Raised IgA
2. Membranous golmerulonephritis
3. Absent radial pulse
4. Aneurysm of branching point

Correct answer: 1. Raised IgA

Explanation: Ans. is 'a' i.e., Raised IgA o Purpura in Henoch Schonlein purpura is due to vasculitis and not thrombocytopeniao Platelet count is either normal or elevated.H.S. purpura is characterized bv tetrad ofo Purpurao Arthritiso Glomerulonephritis ando Abdominal pain Skino The hallmark of this disease is rash beginning as pinkish maculopapules that initially blanch on pressure and progress to petechiae or purpura which are characterized clinically as palpable purpura.o The lesion tends to occur in crops.o The lesion occur on the dependent areas of the body such as buttocks.Joints (80%)o Manifests as arthralgia or arthritis in large jointso Large joints of lower extremities are involved especially the knees and the ankleso Migratory pattern of joint involvement is commono Arthritis is nondeforming in natureGastrointestinal tracto 60% presents with abdominal paino 33% have evidence of gastrointestinal bleeding (melena)o Abdominal pain is typically colickyo May worsen after angina (intestinal angina)o Can lead to intussussception.Kidney (40%)o Almost always appear after the development of skin manifestationo The clinical hallmark of nephritis in HSP is hematuria which is usually microscopico Studies characteristically demonstrate IgA deposition in the mesangium.Question on general features of H.S. Purpurao Common in childreno M.C. vasculitis affecting children